Which toll-like receptors are involved in the action of bacterial endotoxins -
1. I
2. II
3. IV
4. III

Correct answer: 3. IV

Explanation: Different TLRs can recognize different antigens as listed below.
TLR-1:- Bacterial lipoprotein and peptidoglycans
TLR-2:- Bacterial peptidoglycans
TLR-3:- Double-stranded RNA
TLR-4:- Lipopolysaccharides
TLR-5:- Bacterial
TLR-6:- Bacterial lipoprotein
TLR-7:- Single-stranded RNA, bacterial and viral
TLR-8:- Single-stranded RNA, bacterial and viral, phagocytized bacterial RNA.
TLR-9:- CpG DNA
TLR-10:- Unknown
TLR-11:-Profilin from Toxoplasma gondii, also possibly uropathogenic bacteria
TLR-12:-Profilin from Toxoplasma gondii
TLR-13:- bacterial ribosomal RNA
Lipopolysaccharides (LPS), also known as lipoglycans and endotoxins, are large molecules consisting of a lipid and
a polysaccharide composed of O-antigen, outer core and inner core joined by a covalent bond; they are found in
the outer membrane of Gram-negative bacteria, and elicit strong immune responses in animals.
The term lipooligosaccharide ("LOS") is used to refer to a low-molecular-weight form of bacterial lipopolysaccharides